Laboratory test of ANUG is:
1. Complement fixation
2. Dark field examination
3. Tissue culture
4. Animal inoculation

Correct answer: 2. Dark field examination